Pantothenate Kinase associated neurodegeneration is:
1. Wiison's disease
2. Hallervorden-Spatz syndrome
3. McLeod syndrome
4. Lesch Nyhan syndrome

Correct answer: 2. Hallervorden-Spatz syndrome

Explanation: Ans. B. Hallervorden-Spatz syndromePantothenate kinase associated neuro degeneration (PKAN) (formerly Hallervorden-Spatz syndrome)Rare autosomal recessive neuro degenerative disorderChorea, dystonia, parkinsonian features, pyramidal tract features and MRMRI-decreased T2 signal in the globus pallidus and substantianigra, "eye of the tiger" sign (hyperintense area within the hypointense area)Sometimes acanthocytosisNeuropathologic examination indicates excessive accumulation of iron-containing pigments in the globuspallidus and substantianigra.Similar disorders are grouped as neurodegeneration with brain iron accumulation (NBIA).